Low Renin Hypertension is seen in all of the following, Except:
1. Essential hypertension
2. Conn's syndrome
3. Renovascular hypertension
4. Liddle's syndrome

Correct answer: 3. Renovascular hypertension

Explanation: Answer is C (Renovascular Hypertension): Renovascular Hypertension is associated with High Renin levels (High Renin Hypertension) Addle Syndrome is associated with Low Renin and Low Aldosterone levels Liddle's syndrome is an autosomal dominant condition caused by mutations in the genes that encode the p and 7 subunits of the mineralocorticoid-dependent epithelial sodium channel. This results in continuous (constitutive) activation of the channel, even in the absence of mineralocorticoid. Clinically, the condition is characterised by early-onset hypertension, with hypokalemia and low levels of rennin and aldosterone. The condition responds to treatment with the potassium-sparing diuretic Amiloride (or triamterene).